Commonest cause of heart failure in infancy is ________
1. Myocarditis
2. Rheumatic fever
3. Cardiomyopathy
4. Congenital heart disease

Correct answer: 4. Congenital heart disease

Explanation: Most common cause of congestive cardiac failure in infants is congenital heart disease. Ref : Ghai essential of pediatrics, eighth edition ,p.no:397